Genomics is defined as :-
1. Introduction of a gene sequence into a cell with an aim to modify the cell's behavior
2. To isolate a DNA sequence and then produce its multiple copies
3. Human manipulation of genetic material by recombinant techniques
4. To characterize the complete genetic makeup (structure and sequence of genes) of an organism

Correct answer: 4. To characterize the complete genetic makeup (structure and sequence of genes) of an organism

Explanation: Genomics: Is the science which strives to define and characterize the complete genetic make-up(structure and sequence of genes) of an organism. Is also known as 'Study of genomes of organisms'. Genome: Is sum total of genetic information of an individual, encoded in structure of DNA. Genetics: Is the science which investigates roles and functions of a single gene. Gene therapy : Introduction of a gene sequence into a cell with an aim to modify the cell's behavior. Gene cloning: To isolate a DNA sequence and then produce its multiple copies. Genetic engineering: Human manipulation of genetic material by recombinant techniques.